H. pylori causes ?
1. Type A Gastritis
2. Type B gastritis
3. Autoimmune
4. Allergic Gastritis

Correct answer: 2. Type B gastritis

Explanation: Ans. is 'b' i.e., Type B gastritis